Which of the following is most characteristic of congenital hypertrophic pyloric stenosis?
1. Affects the first born female child
2. The pyloric tumour is best felt during feeding
3. The patient is commonly marasmic
4. Loss of appetite occurs early

Correct answer: 2. The pyloric tumour is best felt during feeding

Explanation: Congenital hypertrophic pyloric stenosis is more common in first born males.Symptoms usually start after 3 weeks of age.Nonbilious vomiting is the initial symptom. After vomiting, the infant becomes hungry and wants to feed again.The metabolic disturbance is hypochloremic metabolic alkalosis.Clinical diagnosis is by palpation of hypertrophic mass, confirmed by USG.The surgical procedure of choice is Ramstedt pylorotomy.Ref: Nelson 17th/e p1229